The biological transmission of filariasis is an example of:
1. Propagative transmission
2. Cyclical transmission
3. Cyclo-developmental transmission
4. Cyclo-Propagative transmission

Correct answer: 3. Cyclo-developmental transmission

Explanation: Biological transmission is of three types: Propagative: The agent merely multiplies in vector, but no change in form. e.g. plague bacilli in rat fleas Cyclo-Propagative: The agent changes in form and number. e.g. malaria parasites in mosquito Cyclo-developmental: The disease agent undergoes only development but no multiplication. e.g. microfilaria in mosquito. REMEMBER: Transovarial transmission: When the infectious agent is transmitted vertically from the infected female to her progeny in the vector. e.g. dengue Ref: Park's textbook of Preventive and Social Medicine, 21st edition, page-93